Characteristic of alcoholic liver is -a) Perivenular fibrosisb) Mallory hyalinec)  Spotty necrosisd)  Zonal necrosis
1. ab
2. abc
3. acd
4. bcd

Correct answer: 2. abc

Explanation: The hallmark of alcoholic hepatitis is hepatocyte injury characterized by -

Balloning degeneration
Spotty necrosis
Polymorphonuclear infiltrate
Fibrosis in perivenular and perisinusoidal space of disse.